Absolute contraindications to induction of labor include all, EXCEPT:
1. Placenta previa
2. Previous caesarean section with transverse scar
3. Myomectomy entering the endometrium
4. Unification surgery

Correct answer: 2. Previous caesarean section with transverse scar

Explanation: Absolute contraindications to induction of labor include, Contracted pelvis Placenta previa Uterine scar because of previous classical caesarean section Myomectomy entering the endometrium Hysterotomy Unification surgery Transverse lie Labor induction should be carried out with caution in the following situations: Breech presentation Oligohydramnios Multiple gestation Grand multiparity Previous caesarean section with transverse scar Prematurity Suspected fetal macrosomia Ref: Archie C.L., Roman A.S. (2013). Chapter 7. Normal & Abnormal Labor & Delivery. In A.H. DeCherney, L. Nathan, N. Laufer, A.S. Roman (Eds), CURRENT Diagnosis & Treatment: Obstetrics & Gynecology, 11e.